Learned movements are executed through-
1. Midbrain
2. Pons
3. Medulla
4. Cerebral Cortex

Correct answer: 4. Cerebral Cortex

Explanation: Ans. is 'd' i.e., Cerebral Cortex * The motor control of body has a three tier system : -1) Target identification :# This is determining the goal of or purpose of movement, i.e., command for motor action. It is originated in cortical association areas.2) Plan of action:# It is the programming the sequence of movement. Once the goal of movement is made in association area, the command for action is given to the areas, where the programming the sequence of movement to achieve the goal is planned. These areas are cortex itself, basal ganglia and lateral part of cerebellar hemisphere.3) Execution:# It is the actual performance of the movement. Once the sequence of movements is planned, this information is conveyed to motor cortex.# The fundamental impulses for the muscle contraction orginate in the motor cortex. From motor cortex the descending pathway terminate on spinal cord (directly or indirectly through brain stem pathways) and the planned movement is excuted by regulation of a-motor neuron discharge.Idea for a voluntary motor activity is originated in cortical association area|To improve the quality of motor performance planning and programming of movement is done by Basal ganglia, cerebellum, premotor area|The fundamental impulses for the muscle contractions originate in motor cortex to complete the planned movement|Corticospinal tract|a-motor neuron (ventral horn cell) in spinal cord|Muscle contraction (voluntary movement)